Anti phospholipid syndrome (APS) is associated with all of the following except :
1. Pancytopenia
2. Recurrent abortions
3. Venous thrombosis
4. Pulmonary hypertension

Correct answer: 1. Pancytopenia

Explanation: Ans is a i.e Pancytopenia Venous thrombosis. Recurrent abortions and pulmonary hypertension are all seen in case of antiphospholipid syndrome. Antiphospholipid antibody syndrome leads to thrombocytopenia (in 40-50% cases) and hemolytic anemia in 25% cases but leucopenia is not seen in it. Also in causes of pancytopenia - No where is APS mentioned so. it is the best answer. Diagnostic Clinical Criteria for Antiphospholipid Antibody Syndrome : Thrombosis - Venous - Arterial (small vessels). Adverse pregnancy outcome - 3 or more consecutive miscarriages < 10 weeks. - 1 or more fetal deaths > 10 weeks. - 1 or more preterm births due to severe pre-eclampsia or IUGR. Indications for Antiphospholipid antibody testing : 3 or more consecutive first trimester losses Unexplained 2nd or 3rd trimester loss Unexplained IUGR Early onset severe pre-eclampsia Unexplained thrombosis Autoimmune connective tissue disease like SLE False positive serological tests for syphilis